False about Bacteroides is
1. Non - sporing
2. Non - Capsulated
3. Gram negative bacilli
4. All the above

Correct answer: 2. Non - Capsulated

Explanation: It is Capsulated.